All are true regarding Hyper IgE syndrome except-
1. Inheritance is as a single locus Autosomal dominant trait with variable expression
2. Coarse facial features
3. Recurrent staphylococcal abscesses involving skin, lungs
4. High serum IgE with low IgG, IgA and IgM

Correct answer: 4. High serum IgE with low IgG, IgA and IgM